Which of the following are X- linked recessive disorders:
1. Marfan Syndrome
2. Phenylketonuria
3. Neurofibromatosis
4. Duchenne muscular dystrophy

Correct answer: 4. Duchenne muscular dystrophy

Explanation: D i.e. Duchenne muscular dystrophy